Age of marriage age for women:
1. 16 years
2. 17 years
3. 18 years
4. 21 years

Correct answer: 3. 18 years

Explanation: Ans. 18 years Prohibition of Child Marriage Act(2006), and it came into effect on 1 November 2007; states that a girl in India can't marry before the age of 18, and a boy before 21.